Auspitz sign is seen in -
1. Plaque psoriasis
2. Lichen planus
3. Pustular psoriasis
4. Icthyosis

Correct answer: 1. Plaque psoriasis

Explanation: Ans. is 'a' i.e., Plaque psoriasis Auspitz signo It is a bed side test used for the diagnosis of psoriasis vulgaris/ plaque psoriasis. In this, removal of scales leads to pin point bleeding (punctate red dots) in psoriatic lesion.